Jacquemier's sign in early pregnancy is
1. Softening of cervix
2. Bluish discoloration of anterior vaginal wall
3. Mucous discharge
4. Increased pulsations

Correct answer: 2. Bluish discoloration of anterior vaginal wall

Explanation: Chadwick signis a bluish discoloration of thecervix Goodell sign softening of the cervix Hegars sign: on a P/V, the abdominal and vaginal fingers seem to oppose below the body of uterus Jacquemier's sign- a purplish discoloration of the mucous membrane of the vagina that occurs early in pregnancy. Hartman's sign: Implantation Bleeding